AFP is a marker is tumor marker for -
1. Hepatocellular carcinoma
2. Prostate carcinoma
3. Renal cell carcinoma
4. Colon carcinoma

Correct answer: 1. Hepatocellular carcinoma

Explanation: Ans. is 'a' i.e., Hepatocellular carcinoma Tumor MarkersCancerNon-Neoplastic ConditionsHormonesHuman chorionic gonadotropino Gestational trophoblastic disease, gonadal germ cell tumoro Medullary' cancer of the thyroido PheochromocytomaPregnancyCalcitoninCatecholaminesOncofetal AntigensAlphafetoproteinCarcinoembryonic antigeno Hepatocellular carcinoma, gonadal germ cell tumoro Adenocarcinomas of the colon, pancreas, lung, breast, ovary others othersCirrhosis, hepatitisPancreatitis, prostatic hypertrophyHepatitis, hemolytic anemia, manyEnzymesProstatic acid phosphataseNeuron-specific enolaseLactate dehydrogenaseo Prostate cancero Small cell cancer of the lung, neuroblasotmao Lymphoma. Ewing's sarcoma othersProstatitis, prostatic hypertrophyHepatitis, hemolytic anemia, manyTtimor Associated ProteinsProstatic - specific antigenMonoclonal immunoglobulinCA - 125CA 19-9CA - 15-3CD 30CD 25o Prostate cancero Myelomao Ovarian cancer, some lymphomaso Colon, pancreatic, breast cancero Breast cancero Hodgkin's disease, anaplastic large cell lymphomao Hairy ceil leukemia, adult T cell leukemia/lymphomaProstatitis, prostatic hypertrophy Infection, MGUSMenstuation, peritonitis, pregnancy Pancreatitis, ulcerative colitisNew Molecular markerso p53, APC. RAS mutation in stool & serumo Colon cancero p53, RAS mutation in stool & serum3 Pancreatic carcinomao p53, RAS mutation in sputum & serum3 Lung carcinomao p53 mutation in urineo Bladder carcinoma